A 45 year old man is diagnosed with diabetes at his present visit for the first time. When should he visit an ophthalmologist-
1. On his 50th birthday
2. When dimness of vision starts
3. Before his 50th birthday
4. Immediately at time of diagnosis.

Correct answer: 4. Immediately at time of diagnosis.

Explanation: Screening for diabetic retinopathy To prevent visual loss occurring from diabetic retinopathy a periodic follow-up is very important for a timely intervention. The recommendations for periodic fundus examination are as follows : First examination, 5 years after diagnosis of type 1 DM and at the time of diagnosis in type 2 DM. Every year, till there is no diabetic retinopathy or there is mild NPDR. Every 6 months, in moderate NPDR. Every 3 months, in severe NPDR Every 2 months, in PDR with no high-risk characteristics. Ref;A.K.Khurana; 6th edition; Page no: 280